Sensory perception involves Brodmann's area -
1. 1,2, 3
2. 4, 6
3. 44, 45
4. 41, 42

Correct answer: 1. 1,2, 3

Explanation: Ans. is 'a' i.e., 1, 2, 3 o Processing of general sensory inputs primarily occurs in primary somatosensory area of parietal lobe.o Primary somatosensory area is Brodmann's area 3, 1,2.LobeArea (Area No.)LocationFunctionLesion1. FrontalMotor area (4)Premotor are (6)Frontal eye field (6, 8)Motor speech area (44, 45) (Broca's area)Prefrontal concx (9,10,11.12)Precentral gyrusInferior frontal gyrusControls volumatary motor activitiesControl EPSResponsible for voluntary eye raovt.Controls spoken speech (Language)Emotional controlSocial behaviorCont./L. Hemiparesis (UMN type)Deviation of eye towards the side of lession (Saccadic movts. of eye)Motor (Broca Vexpressive) aphasiaLack of initiationAntisocial behavior2. ParietalSomatic sensory area''Primary somesthetic area S-I (3, 1, 2)S-IISomato sensory association area (5,7)Post central gyrusSylvian fissurePosterior part of parietal lobeHighest area for general consciousSense perception (touch, pain, temp)Learning based on tactile discriminiSensory speechSynthesis of senses ( formed sense)Maintenance of body image, constructional skills,Spatial orientationDefect in sensory perception &. processing to S-IISensory aphasia(will produce difficiency in learning in blinds)Tactile agnosia (astereognosis)Neglect of opp. half of body(constructional apraxia, dressing apraxia)3. TemporalAudttosensory area (41, 42)Gyrus of Heschl in floor of lat. sulcusAuditory perception (Sound is heard)Sound is 'interpreted'Smell balanceImpaired hearing (deafness if B/L extensive lesion)Auditory agnosia, impaired non-verbal memoryWernicke's aphasia4. OccipitalVisuosensory are (7) (striate aera)Visuopsychic area (18,19) (Parastriate/ area)Post calcarine sulcusHighest area for perception of visual senseCorrelation of visual impulses with past memory & recognition of object seen & also the depth.Homonymous hemtanopia with macular sparing (because macular area has largest representation)Visual agnosia